Welfare officer is appointed in factories when no of workers are more than
1. 350
2. 500
3. 1000
4. 5000

Correct answer: 2. 500